Commonest virus causing diarrhea in infants is:
1. Poliovirus
2. Adenovirus
3. Rotavirus
4. Rhabdovirus

Correct answer: 3. Rotavirus

Explanation: Ans. C: Rotavirus In India, rotavirus and enterotoxigenic E. coli account for nearly half the total diarrheal episodes among children. Cholera accounts for 5-10% cases.